From ART drugs which acts through inhibition of integrase activity of virus ?
1. Raltegravir
2. Tiprinavir
3. Enfuvirtide
4. Etravirine

Correct answer: 1. Raltegravir

Explanation: Ans. is 'a' i.e., Raltegravir